Injury to cervical sympathetic trunk produces Horner's syndrome that includes all except:
1. Enophthalmos
2. Ptosis
3. Mydriasis
4. Anhydrosis

Correct answer: 3. Mydriasis

Explanation: Horner’s syndrome: 
The head and neck region is supplied by the sympathetic fibres, which arise in the upper thoracic spinal segments. 
These preganglionic fibres pass through stellate ganglion to relay in the superior cervical sympathetic
ganglion. 
The postganglionic fibres arise from cells of this ganglion and supply the structures in the head and neck.
An injury to cervical sympathetic trunk produces a clinical condition called Horner’s syndrome.
Characteristic features:

Partial ptosis (partial drooping of upper eyelid), due to paralysis of smooth part of levator palpebrae superioris muscle (Muller’s muscle).
Miosis, i.e., constriction of the pupil, due to paralysis of dilator pupillae.
Anhydrosis, i.e., loss of sweating on that side of face, due to sudomotor and vasoconstrictor denervation.
Increased temperature and redness.
Enophthalmos, i.e., sunken eyeball, not confirmed by ophthalmometry.
Loss of ciliospinal reflex, i.e., pinching the skin of the back of neck does not produce dilation of the pupil, which in healthy person takes place.


Key Concept:
Injury to cervical sympathetic trunk produces Horner's syndrome that includes Enopthalmos, Ptosis and miosis.
Ref: Textbook of Anatomy, Vishram singh, pg no:175